Ansler grid test is for ?
1. Corneal thickness
2. Macular function
3. Visual field chai
4. Calculation of squint angle

Correct answer: 2. Macular function

Explanation: Ans. is 'b' i.e., Macular function Macular function tests While evaluating the retinal function, some tests are used specifically for macular function. These tests are : Simple macular function tests Two point discrimination test (Cardboard test) Modified photostress test Maddox rod test Coloured light est Entoptic view test Amster grid test Other tests Blue field entoptoscopy Laser interferometry Potential acuity meter Flying corpuscle test